The Watson's Crick double helix model of DNA is
1. Right handed anti parallel
2. Left handed anti parallel
3. Right handed parallel
4. Left handed parallel

Correct answer: 1. Right handed anti parallel

Explanation: Ans. (a) Right handed anti parallelRef: Harper's Biochemistry, 30th edn. pg. 360-361* Helical structure assumed by two strands of deoxyribonucleic acid, held together throughout their length by hydrogen bonds between bases on opposite strands, referred to as Watson-Crick base pairing. The structure is right handed anti-parallel structure.